Child pugh criteria is used for prognosis of which disease -
1. Terminal liver disease
2. COLD
3. CRF
4. DCM

Correct answer: 1. Terminal liver disease

Explanation: Ans. is 'a' i.e., Terminal liver disease